Dopamine and noradrenaline reuptake inhibitor is:
1. Clozapine
2. Bupropion
3. Zolpidem
4. Mirtazapine

Correct answer: 2. Bupropion

Explanation: Bupropion This inhibitor of DA and NA uptake has excitant rather than sedative property. It is metabolized into an amphetamine like compound. It has been marketed in a sustained release formulation as an aid to smoking cessation. In clinical trials it has been found to yield higher smoking abstinence and quitting rates than placebo. Bupropion may be acting by augmenting the dopaminergic reward function. Better results have been obtained when it is combined with nicotine patch. The nicotine withdrawal symptoms were less severe in bupropion recipients. However, long-term efficacy is not known, and it can cause insomnia, agitation, dry mouth and nausea, but not sexual side effects. Seizures occur in over dose; the dose of 150 mg BD should not be exceeded. Ref: K D Tripathi 8th ed.